Cobicistat is used along with which of the following antiretroviral drug?
1. Indinavir
2. Darunavir
3. Ritonavir
4. Saquvinavir

Correct answer: 2. Darunavir

Explanation: B i.e. DarunavirRef: http://www.gilead. com/~/media/Files/pdfs/medicines/hiv/tybost/tybost_pi.pdfExplanation:CobicistatMechanism - Inhibitor of cytochrome P450 (CYP) 3A enzymes.Indicated as a pharmacokinetic enhancer (i.e., booster) of the HIV-1 protease inhibitors atazanavir* and darunavir* in adults.RitonavirActs as pharmacokinetic booster by inhibiting CYP3A4.Used at lower dose for this purpose.Combinations of darunavir, lopinavir, fosamprenavir, and atazanavir with ritonavir are approved for once daily administration.